The following Thiazide diuretic is active even if GFR is less than 30-40 mm Hg?
1. Metolazone
2. Benzthiazide
3. Chlorothiazide
4. Chlorthalidone

Correct answer: 1. Metolazone

Explanation: Although most thiazide diuretics lose their effectiveness in renal failure, metolazone remains active even when the glomerular filtration rate (GFR) is below 30-40 mL/min (moderate renal failure). This gives it a considerable advantage over other thiazide diuretics since renal and heart failure often coexist and contribute to fluid retention(Refer: K. D. Tripathi's Essentials of Medical Pharmacology, 7th edition, pg no: 583)